Developing crossbites are treated by using:
1. Z spring
2. Tongue blade
3. Crossbite elastics
4. Bite plane

Correct answer: 2. Tongue blade

Explanation: Tongue Blade Therapy
Tongue blade therapy can be employed in developing crossbite, when the maxillary incisor is erupting into crossbite and there is adequate space for the tooth to be moved.